Lactobacilli are numerous in carious lesions because they
1. Are the main causative agent
2. Can produce insoluble extracellular polysaccharides
3. Can attach to smooth enamel surfaces
4. Are secondary invaders

Correct answer: 4. Are secondary invaders